Salmon patch resolves after
1. 1 year
2. 3 years
3. 5 years
4. Doesn't resolve at all

Correct answer: 1. 1 year

Explanation: Salmon patch usually resolves after 1 year.